All of the following are features of Wilson's disease,except -
1. Hemolytic anemia
2. Testicular atrophy
3. Chorea
4. Chronic active hepatitis

Correct answer: 2. Testicular atrophy